Pulmonary hypertension in COPD is due to all, Except:
1. Hypoxia
2. Pulmonary vasoconstriction
3. High lung volume
4. Bronchoconstriction

Correct answer: 4. Bronchoconstriction

Explanation: Answer is D (Bronchoconstriction) Bronchoconstriction is not a cause for Pulmonary Hypertension Pulmonary Hypertension in COPD has been attributed to multiple factors including: Hypoxia Pulmonary vasoconstriction (secondary to hyoxia) Acidemia Hypercapnia Mechanical effect of high lung volume on pulmonary vessels Loss of small vessels in vascular bed Regions of emphysematous lung destruction